Which of the following is not an alkylating agent?
1. Cyclophosphamide
2. Busulfan
3. 5-Fluorouracil
4. Melphalan

Correct answer: 3. 5-Fluorouracil

Explanation: 5- Fluorouracil' Repeat from AI1MS 09